Whole blood is stored in blood bank at
1. -4 C
2. 0 C
3. 4 C
4. 8 C

Correct answer: 3. 4 C

Explanation: Shipping of stored platelets to the transfusion facility should use a well-insulated container, with no ice, to maintain the temperature between 20-24deg C. Fresh frozen plasma and cryoprecipitate must be shipped at -18deg C or below. Dry ice is used to maintain the frozen state. The goal of blood preservation is to provide viable and functional blood components for patients requiring blood transfusion. More than 70% of red cells should remain viable in circulation 24hours after transfusion ofstored blood in CPDA-1 for 35 days. Theblood is stored at 2-6 degC to maintain the optimal viability.